In which year did the Kyoto Protocol come into force?
1. 2001
2. 2003
3. 2005
4. 2007

Correct answer: 3. 2005